All of the following form visceral relations of spleen except -
1. Stomach
2. Splenic flexure of colon
3. Kidney
4. Adrenals

Correct answer: 4. Adrenals

Explanation: The visceral surface is related to the fundus of the stomach (at gastric impression), left kidney (at renal impression), splenic flexure of the colon (at colic impression), and tail of pancreas (at pancreatic impression)